Purpose of tilting the cast, while surveying is to:
1. Achieve maximum guiding planes
2. Create undercuts
3. Obtain a favorable path of insertion
4. Obtain retention

Correct answer: 3. Obtain a favorable path of insertion